Which one of the following disorders is due to maternal disomy of chromosome 15?
1. Prader -Willi syndrome
2. Angelman syndrome
3. Hydatidiform mole
4. Klinefelter's syndrome

Correct answer: 1. Prader -Willi syndrome

Explanation: . Prader -Willi syndrome